What is Na+ concentration of normal saline
1. 154 meq
2. 131 meq
3. 101 meq
4. 91 meq

Correct answer: 1. 154 meq

Explanation: Crystalloid pH mOsm/L Na+ CI- Ca2+ Lactate- K+ Mg2+ Gluconate- Acetate- NS (0.9% Saline) 5.6 (4.5 - 7.0) 308o 154o 154 LR 6.6 (6.0 - 7.5) 274 130 109 3 28 4 Normosol 7.4 (6.5-7.6) 295 140 98 5 3 23 27